Which one of the following is false about PNH
1. Thrombosis is the leading cause of death
2. Bone marrow is hyperplastic
3. Gold standard  test - sucrose lysis test
4. Hemolysis precipitated during exercise

Correct answer: 3. Gold standard  test - sucrose lysis test

Explanation: Gold standard  - Flow cytometry.